All the following are causes of acute pancreatis except -
1. Gall stone
2. Alcohol
3. Hemachromatosis
4. Hypercalcemia

Correct answer: 3. Hemachromatosis

Explanation: Ans. is 'c' i.e., HemochromatosisCauses of Acute PancreatitisCommon causes Gallstones (including microlithiasis) - most commonHyperiglyceridemiaEndoscopic retrograde cholangiopancreatography (ERCP), especially after biliary manometry.Trauma (especially blunt abdominal trauma)Postooperative (abdominal and nonabdominal operation)Drugs ( L-asparginase, thiazide diuretics, frusomide, estrogens, azathioprime, 6-mercaptopurine, methyldopa, sulfonamide, tetracyclin, valproic acid, anti-HIV medicacations)Sphincter of Oddi dysfunctionUncommon causesVascular causes and vasculitis (ischemic-hypoperfusion states after cardiac surgery)Connective tissue disorders and thrombotic thrombocytopenic purpura (TTP)Cancer of the pancreas HypercalcemiaPeriampullary diverticulum Pancreas divisumHereditary pancreatitis Cystic fibrosisRenal failureRare causesInfections (mumps, coxsackievirus, cytomegalovirus, echovirus, parasites).Autoimmune (i.e., Sjogren's syndrome)Causes to consider in patients with recurrent bouts of acute pancreatitis without an obvious etiologyOccult disease of the biliary tree or pancreatic ducts, especially microlithiasis,sludge Drugs Pancreaticcancer IdiopathicHyperiglyceridemia Sphincter of Oddi dysfunctionPancreas divisum Cystic fibrosis